Sensory perception involves Brodmann's area ?
1. 1, 2, 3
2. 4, 6
3. 44, 45
4. 41, 42

Correct answer: 1. 1, 2, 3

Explanation: Processing of general sensory inputs primarily occurs in primary somatosensory area of parietal lobe.Primary somatosensory area is Brodmann's area 3, 1, 2.